Which hernia occurs below and lateral to the pubic tubercle?
1. Femoral Hernia
2. Inguinal hernia
3. Morgagnian Hernia
4. Sliding Hernia

Correct answer: 1. Femoral Hernia

Explanation: Ans. is 'a' i.e., Femoral Hernia Femoral HerniaBelow And Lateral To Pubic TubercleInguinal HerniaAbove And Medial To Pubic Tubercle